If the maxillary right second molar is treated successfully the distal furcation involvement can best be kept plaque free by using:
1. Dental Floss
2. Perio aid
3. Stimudent
4. Rubber tip stimulator

Correct answer: 2. Perio aid